All the following familial syndromes are associated with the development of pheochromocytomas except -
1. Sturge-Weber syndrome.
2. Von Recklinghausen disease.
3. MEN Type II.
4. Prader-Willi syndrome.

Correct answer: 4. Prader-Willi syndrome.

Explanation: Pheochromocytoma is associated with the following familial syndromes.


MEN syndrome type 2A & type 2B       
Von Hippel Lindau syndrome
Von Recklinghausen (Neurofibromatosis type I)
Sturge Weber Syndrome

Familial paragangliomas 1, 2, & 3 are also associated with Pheochromocytoma